Most common site for small intestinal carcinoma is -
1. Duodenum
2. Jejunum
3. lleum
4. All are affected equally

Correct answer: 1. Duodenum

Explanation: Answer- A. DuodenumAdenocarcinoma is the most frequent carcinoma found in small intestine.Upper small intestine is the most common site for carcinoma with duodenum, jejunum and ileum.